Rotheras test is used for -
1. Bilirubine in urine
2. Sugar in urine
3. Protein in urine
4. Ketone bodies in urine

Correct answer: 4. Ketone bodies in urine

Explanation: Ans. is 'd' i.e., Ketone bodies in urineTestsUsed foro Rothera's test (nitroprusside test)o Gerhardt's test (ferric chloride test)Ketone bodies in urine :- acetone and acetoacetateKetone bodies in urine :-acetoacetate.o Benedict's testo Fehling's testReducing sugars in urineReducing sugars in urineo Hay's sulpher testBile salts in urineo Fouchet's (borium sulphate test)o Gmelin's (nitric acid) testo Vanden Bergh testo Ehrlich's testo Schlesinger's testBile pigment: bilirubinBile pigment: bilirubinBile pigment: bilirubinBilinogens (stercobilinogen, urobilinogen)Bilins (stercobilin, urobilin).o Ehrlich's aldehyde testPorphobilinogenQ and urobilinogen in urineo Ehrlich s aldehyde test is used for urobilinogen & porphobilinogen,o Tests for cholesterol include --- Salwoski, Liebermann, Ziemann.o Tests for charbohydrates include --- Molish for all sugars, Selwenojf(D-fructose), Fearons.o Rothera's test is false positive in --- presence of other ketones e.g. in PKU.o In Ninhydrin reaction all amino acid give blue colour except proline and hydroxy-proline which give yellow colour.